Which type of Ehlers Danlos syndrome shows arterial or uterine rupture
1. Type 1
2. Type 2
3. Type 3
4. Type 4

Correct answer: 4. Type 4

Explanation: EDS type 4
Autosomal dominant 
Vascular 
Gene defect - Type III collagen